Chyme is formed by-
1. Esophagus
2. Stomach
3. Duodenum
4. Jejunum

Correct answer: 2. Stomach

Explanation: Ans. is 'b' i.e., Stomach * After food in the stomach has become throughly mixed with stomach secretions, the resulting mixture that passes down the gut is called chyme.* Chyme is usually semifluid mass. However, degree of fluidity of chyme depends on the relative amounts of food, water and stomach secretions and on the degree of digestion that has occurred.